The histological features of shock includes?
1. ATN
2. Pulmonary congestion
3. Depletion of lipids in adrenal cortex
4. All

Correct answer: 4. All

Explanation: Ans. is 'a' i.e., ATN; 'b' i.e., Pulmonary Congestion; 'c' i.e., Depletion of lipid in adrenal cortex Morphological changes in shock o The cellular and tissue changes induced by shock are essentially of those of hypoxic injury as final pathway in all types of shock is reduced tissue perfusion and decreased oxygen supply. Since shock is characterized by failure of multiple organ system the cellular changes may occur in any organ. o They are particularly evident in Brain, Heart, Lungs, Kidney, Adrenal and GIT. Brain ---> Ischemic encephalopathy Kidney --> Acute tubular necrosis (ATN) Heart --> Coagulative necrosis with subendocardial hemorrhage. Adrenal ---> Stress reaction i.e., cortical cell lipid depletion. GIT --> Hemorrhagic enteropathy. Liver --> Fatty changes and in severe case central hemorrhagic necrosis. Lung Lungs are seldom affected in pure hypovolemic shock because they are resistant to hypoxic injury. When shock is caused by sepsis or trauma, change of diffuse alveolar damage with pulmonary congestion may occur -4 Shock lung.